Lysosomal transport defect is seen in
1. Cystinosis
2. Goucher's disease
3. Metachromatic leukosytrophy
4. Tay Sach's disease

Correct answer: 1. Cystinosis

Explanation: Answer- A. CystinosisTwo disorders are caused by a proven defect in carrier-mediated transport of metabolites: cystinosis end the group of sialic acid storage disorders (SASD).